Which of the following drug is an inhibitor of cytochrome p450 enzyme
1. Ketoconazole
2. Rifampecin
3. Phenytoin
4. Phenobarbitone

Correct answer: 1. Ketoconazole

Explanation: Ketoconazole is a powerful microsomal enzyme inhibitor where as rifampicin,phenobarbitone and Phenytoin are enzyme inducers Refer KDT 7-e p26